Which of the following statements is true regarding amenorrhoea?
1. Reduced menstruation
2. It is a symptom and not a disease entity
3. It is always pathological
4. All of the above

Correct answer: 2. It is a symptom and not a disease entity

Explanation: Amenorrhoea is a symptom and not a entity. Amenorrhoea is the absence of menstruation. Amenorrhea can be physiological or pathological. Primary amenorrhea is defined as no menstruation by age 15. Secondary amenorrhea is defined as the absence of menses for 6 or more months or the length of 3 cycles after the establishment of regular menstrual cycles. Ref: Online resources